Which among the following is not an antipsychotic?
1. Risperidone
2. Haloperidol
3. Chlordiazepoxide
4. Clozapine

Correct answer: 3. Chlordiazepoxide

Explanation: Chlordiazepoxide is a BZD that can be used also an anti anxiety agent. Rest all three given drugs are anti psychotic. Ref: KD Tripathi 8th ed.